Non-pigmenting fixed reactions is caused by:
1. Sulphonamides
2. Ampicillin
3. Pseudoephedrine
4. Carbamazepine

Correct answer: 3. Pseudoephedrine

Explanation: Non-pigmenting fixed reactions have been reported with sympathomimetic agents pseudoephedrine, tetryzoline hydrochloride, difunisal, thiopental (thiopentone), piroxicam, Radiopaque contrast medium iothalamate, arsphenamine paracetamol. Ref: Rook's textbook of dermatology, 8th edition, Pg 75.48.